Which of the following is false regarding Salter Harris classification?
1. Classifies epiphyseal injuries
2. Type II is the most common type of epiphyseal injury
3. Type IV classifies injury through epiphysis, physis, metaphysis
4. Type V is the perichondrial ring injury

Correct answer: 4. Type V is the perichondrial ring injury

Explanation: Salter Harris classification: Classifies epiphyseal injuries Type II is the most common type of epiphyseal injury Type IV classifies injury through epiphysis, physis, metaphysis Type V is the crushing of growth plate